HIV patient is admitted with malabsorption, fever, chronic diarrhoea and acid fast positive organism. What is the likely causative agent?
1. Giardia
2. Microsporidia
3. Isospora
4. E. histolytica

Correct answer: 3. Isospora

Explanation: The coccidian parasite Isospora belli causes human intestinal disease. Infection is acquired by the consumption of oocysts, after which the parasite invades intestinal epithelial cells and undergoes both sexual and asexual cycles of development. Oocysts excreted in stool are not immediately infectious but must undergo further maturation. In patients who have AIDS, infections often are not self-limited but rather resemble cryptosporidiosis, with chronic, profuse watery diarrhea. Eosinophilia, which is not found in other enteric protozoan infections, may be detectable. The diagnosis is usually made by detection of the large (25-m) oocysts in stool by modified acid-fast staining. Oocyst excretion may be low-level and intermittent; if repeated stool examinations are unrevealing, sampling of duodenal contents by aspiration or small-bowel biopsy (often with electron-microscopic examination) may be necessary. Ref: Weller P.F. (2012). Chapter 215. Protozoal Intestinal Infections and Trichomoniasis. In D.L. Longo, A.S. Fauci, D.L. Kasper, S.L. Hauser, J.L. Jameson, J. Loscalzo (Eds), Harrison's Principles of Internal Medicine, 18e